Which of the following condition is associated with hypokalemic metabolic alkalosis with hypertension:
1. Liddle's syndrome
2. Bartter syndrome
3. Gitelman syndrome
4. Renal tubular acidosis

Correct answer: 1. Liddle's syndrome